True statement about PPV is
1. It increases with prevalence
2. It decreases with prevalence
3. No relation with prevalence
4. Doubles with decrease in prevalence

Correct answer: 1. It increases with prevalence